An indication of MTP -
1. Pregnancy due to rape
2. Contraceptive failure
3. Pregnancy endangering mother’s life
4. All of the above

Correct answer: 4. All of the above

Explanation: The conditions under which pregnancy can be terminated under the MTP Act 
There are 4 conditions that have been identified in the Act:
a. Medical - Where continuation of the pregnancy might endanger the mother’s life or cause grave injury to her physical or mental health.
b. Eugenic - Where there is a substantial risk of the child being born with serious handicaps due to physical or mental abnormalities.
c. Humanitarian - Where pregnancy is the result of rape.
d. Failure of contraceptive devices - The anguish caused by an unwanted pregnancy resulting from a failure of any contraceptive device or method can be presumed to constitute a grave mental injury to the health of the mother. This condition is a unique feature of the Indian law and virtually allows abortion on request, in view of the difficulty of proving that a pregnancy was not caused by the failure of contraception.